Protein A of Staphylococcus aureus is a part of
1. Cell wall
2. Genome
3. Limiting membrane
4. Plasmid

Correct answer: 1. Cell wall

Explanation: Protien A, is the cell surface protien, present in most S.aureus strains, has many biological properties, including chemotactic, antiphagocytic and anti-complementary effects. IT also induces platelet damage and hypersensitivity. Ref: Textbook of Ananthanarayan and paniker's; 10th Edition; Pg:203